Which of the following is not a feature of rhinosporidiosis-
1. Bleeding polyp
2. Russel bodies are seen
3. Oral dapsone is useful in treatment
4. Excision with the knife is the treatment

Correct answer: 2. Russel bodies are seen

Explanation: Because the polyps are vascular & friable, they bleed easily upon manipulation. Complete excision of mass is done with diathermy knife & cauterization of base. Dapsone is being tried for treating rhinosporidiosis but with limited success. Russel bodies are not seen in Rhinosporidiosis but are a diagnostic feature of Rhinoscleroma.